Complement deficiency predispose to infection with-
1. Pseudomonas aeruginosa
2. Cytomegalovirus
3. Neisseria meningitidis
4. Giardia lamblia

Correct answer: 3. Neisseria meningitidis

Explanation: Neisseria meningitidis infection is seen in compliment deficiency Pseudomonas infection is seen in Phagocyte deficiency Giardia infection is seen in Antibody Infection Cytomegalovirus infection is seen in T lymphocyte deficiency Reference : Davidson, 23rd Edition, page no : 73.